Which one of the following is not used as a Tumor Marker in Testicular tumors:
1. AFP
2. LDH
3. HCG
4. CEA

Correct answer: 4. CEA

Explanation: CEA